Essential fructosuria is due to the deficiency of which enzyme?
1. Aldolase A
2. Aldolase B
3. Fructokinase
4. Glucokinase

Correct answer: 3. Fructokinase

Explanation: Ans. (c) FructokinaseRef: Harper, pg. 169"Deficiencies in the enzymes of fructose and galactose metabolism lead to essential fructosuria and galactosemias""Lack of hepatic fructokinase causes essential fructosuria, and absence of hepatic aldolase B, which cleaves fructose 1-phosphate,leads to hereditary fructose intolerance"Metabolism of fructose. Aldolase A is found in all tissues, whereas aldolase B is the predominant form in liver. (not found in liver)